All are true regarding corynebacterium diphtheriae except
1. Club shaped
2. Non - sporing
3. Capsulated
4. Non - motile

Correct answer: 3. Capsulated

Explanation: It is non - capsulated.